Aaron's sign is seen in:
1. Chronic appendicitis
2. Hiatus hernia
3. Mediastinum emphysema
4. Acute appendicitis

Correct answer: 4. Acute appendicitis

Explanation: Abdominal Examination Signs Sign Description Diagnosis Aaron Sign Pain or pressure in epigastrium or anterior chest with persistent firm pressure applied to McBurney's point. Acute appendicitis Bassler Sign Sharp pain created by compressing appendix between abdominal wall and iliacus Chronic appendicitis Blumberg's Sign Transient abdominal wall rebound tenderness Peritoneal inflammation Carnett's Sign Loss of abdominal tenderness when abdominal wall muscles are contracted Intra-abdominal source of abdominal pain Claybrook Sign Accentuation of breath and cardiac sounds through abdominal wall Ruptured abdominal viscus Mannkopf's Sign Increased pulse when painful abdomen palpated Absent if malingering Ten Horn Sign Pain caused by gentle traction of right testicle Acute appendicitis